Not a causative agent of acute hemorrhagic conjunctivitis is:
1. Adenovirus
2. Coxsackie virus
3. Reovirus
4. Enterovirus

Correct answer: 3. Reovirus

Explanation: Acute conjunctivitis can be caused by viruses including enterovirus 70 (EV-70), coxsackievirus A24, and epidemic adenoviruses. Q These viruses may also lead to acute hemorrhagic conjunctivitis (AHC), characterized by photophobia, watering, and foreign body sensation, eyelid edema, conjunctival hemorrhages, and superficial punctate keratitis. The disease is self-limiting.